Corneal endothelial cell count is done by -
1. Specular microscopy
2. Keratometry
3. Gonioscopy
4. Slit lamp

Correct answer: 1. Specular microscopy

Explanation: Ans. is 'a' i.e., Specular microscopy o Specular microcopy is used for corneal endothelial density.Important corneal examinationsCsed foro Keratometry. Comeal topographyCurvature of corneao Specular microscopyCorneal endothelial densityo Slit lampCorneal opacityo PachymeterThickness of corneao Placido's discCorneal sheeno Fluorescein, Alacian blue & Bengal rose stainComeal stainingo Window reflex, slit lamp biomicroscopy, Placidos' discComeal surface